In eleventh five year plan, target of raising sex ratio of age group 0-6 years by 2016-2017 is:
1. 950
2. 955
3. 960
4. 965

Correct answer: 1. 950

Explanation: In eleventh five year plan, time bound goal are MMR to 1 per 1000 live birth IMR to 28 per 1000 live birth. TFR to 2.1 Sex ratio of 0-6 age group by 935 by 2012 and 950 by 2017 Ref: Park 21st edition, page 815.